The nucleus involved in Papez circuit is:
1. Pulvinar
2. Intralaminar
3. VPL nucleus
4. Anterior nucleus of Thalamus

Correct answer: 4. Anterior nucleus of Thalamus

Explanation: Nucleus involved in Papez circuit is anterior nucleus of thalamus. Ref: Review of Medical Physiology by William ganong, 22nd Edition, Page 256